Man is intermediate host for -
1. Malaria
2. Tuberculosis
3. Filariasis
4. Relapsing fever

Correct answer: 1. Malaria

Explanation: option-1- Life Cycle of Plasmodium: Malaria is caused by Plasmodium species. Definitive host: Female Anopheles mosquitoes Intermediate host: Man. option- 2-Tuberculosis is caused by Mycobacterium tuberculosis and doesn't have secondary host. option-3- In Filariasis (W. bancrofti): man is definitive host. option-4- Borrelia causes Relapsing fever and there is no secondary host.